Eukaryotic ribosome has following subunits -
1. SOS & 3 OS
2. 60S & 30S
3. 60S & 40S
4. SOS & 40S

Correct answer: 3. 60S & 40S

Explanation: Ans. is 'c' i.e., 60S & 40So Ribosomes are large complexes of r-RNA and proteins with one large and one small subunits.o The small subunit binds m-RNA, thus guiding interaction between m-RNA codon and anticodon of t-RNA to read the genetic information with exiquisite fidelity.o Hence small subunit is responsible for accuracy, whereas the large subunit catalyzes the formation of peptide bond,o Ribosomes are composed of two unequal subunits Q.Eukaryotic(80 S) ribosome is made up of 60 S and 40 S subunits, andProkaryotic (JOS) ribosome is made of SOS and 30S subunits.o 60S subunit of eukaryotes contains 5 S rRNA, 5.8 S rRNA, 28S rRNA and more than 50 polypeptides,o 40 S subunit contains 18 S rRNA and about 30 polypeptide chains.